Corneal epithelial repair includes all of the following phases except
1. Cell proliferation
2. Cell migration
3. Cell adhesion
4. Cell fusion

Correct answer: 4. Cell fusion

Explanation: Ans. is 'd' i.e., Cell fusion Corneal epithelial repair* The processes involved in the healing of corneal epithelial wounds can be divided into three distinct components: cell migration, cell proliferation, and cell adhesion.* All three components are part of a continuous process but the contribution of each can vary depending on the size and depth of the wound and nature of injury.